The multidrug regimen under the National Leprosy Eradication Programme for the treatment of all multibacillary leprosy would include -
1. Clofazimine, thiacetazone and dapsone
2. Clofazimine, rifampicin and dapsone
3. Ethionamide, rifampicin and dapsone
4. Propionamide, rifampicin and dapsone

Correct answer: 2. Clofazimine, rifampicin and dapsone